Which of the following is the wrong statement regarding sarcoidosis?
1. Lung is the most common organ affected
2. Lupus pernio is diagnostic of chronic form of sarcoidosis
3. Hypercalcemia occurs in 10% of sarcoidosis patients.
4. Increased CD4/CD8 ratio in serum supports sarcoidosis

Correct answer: 4. Increased CD4/CD8 ratio in serum supports sarcoidosis

Explanation: Sarcoidosis is an inflammatory disease characterized by the presence of noncaseating granulomas. Although sarcoidosis can affect virtually every organ of the body, the lung is most commonly affected. Studies suggest that a mycobacterium similar to M. tuberculosis could be responsible for sarcoidosis. Hypercalcemia and/or hypercalciuria occurs in about 10% of sarcoidosis patients. The mechanism of abnormal calcium metabolism is increased production of 1,25-dihydroxy vitamin D by the granuloma itself. The 1,25-dihydroxy vitamin D causes increased intestinal absorption of calcium, leading to hypercalcemia with a suppressed parathyroid hormone (PTH) level. A specific complex of involvement of the bridge of the nose, the area beneath the eyes, and the cheeks is referred to as lupus pernio and is diagnostic for a chronic form of sarcoidosis. This form of sarcoidosis is associated with involvement of the upper respiratory tract. Ref: Harrison's Principles of Internal Medicine; 20th edition; Chapter 390 Sarcoidosis